Extensive surgical debridement, decompression or amputation may be indicated in the following clinical setting except -
1. Progressive synergistic gangrene
2. Acute thrombophlebitis
3. Acute haemolytic streptococcal cellulitis
4. Acute rhabdomyolysis

Correct answer: 2. Acute thrombophlebitis

Explanation: Ans. is 'b' i.e., Acute thrombophlebitis